Criminal negligence is punishable under -
1. 306 IPC
2. 307 IPC
3. 304-A IPC
4. 304-B IPC

Correct answer: 3. 304-A IPC